The source of endogenous radiation is
1. Radon
2. Potassium
3. Thorium
4. Uranium

Correct answer: 2. Potassium

Explanation: Ans. is 'b' i.e.. Potassium orT Radiation is part of man's environment.